Which of the following is responsible for antibiotic-associated colitis :
1. Clostridium botulinum
2. Clostridium perfringens
3. Clostridium difficile
4. Actinomyces species

Correct answer: 3. Clostridium difficile